Zero order kinetics occur in following drug with high dose:
1. Phenytoin
2. Digoxin
3. Amiloride
4. Lithium

Correct answer: 1. Phenytoin

Explanation: Ans. A. PhenytoinZero order kinetics is due to saturation of metabolizing enzymes i.e. enzymes reach their Vmax Eg (Zero WATT power)ZeroW-Warfarin,A-Alcohol,T-Theophylline,T-Tolbutamide,Power-Phenytoin,Other - Salicylates, omeprazole